Amount of sodium in plasma is
1. 143
2. 120
3. 175
4. 95

Correct answer: 1. 143

Explanation: (A) 143 # Blood plasma is a straw colored liquid component of blood that normally holds the blood cells in whole blood in suspension; this makes plasma the extracellular matrix of blood cells.> It makes up about 55% of the body's total blood volume.> It is the intravascular fluid part of extracellular fluid (all body fluid outside of cells).> It is mostly water (up to 95% by volume), and contains dissolved proteins (6-8%) (i.e.--serum albumins, globulins, and fibrinogen), glucose, clotting factors, electrolytes (Na+, Ca2+, Mg2+, HCO3-, Cl-, etc.), hormones, carbon dioxide (plasma being the main medium for excretory product transportation) and oxygen.> Plasma also serves as the protein reserve of the human body.> It plays a vital role in an intravascular osmotic effect that keeps electrolytes in balanced form and protects the body from infection and other blood disorders. Ion Normal concentration range (mEq.L-1) Sodium 135-145 Potassium 3.6-5.1 Chloride 95-105 Calcium 2.1-2.8